Akathisia is best treated by:
1. Lithium
2. Fluoxetine
3. Propanolol
4. Haloperidol

Correct answer: 3. Propanolol

Explanation: (Ref: KDT, 8th ed. pg. 471)* Akathisia is an extra pyramidal symptom that arises mainly due to intake of typical anti psychotics like haloperidol, fluphenazine etc.* It is characterized by restlessness, feeling of discomfort and constant purposeless involuntary movement from one place to another without any source of anxiety.* Akathisia is the most common extra pyramidal symptom.* DOC for akathisia: PROPANOLOL.